Harakiri is death by -
1. Stab in the neck
2. Stab in the thorax
3. Stab in the abdomen
4. Stab in the wrist plus neck

Correct answer: 3. Stab in the abdomen

Explanation: The synopsis of forensic medicine & toxicology ; Dr k.s.narayan reddy ; 28th edition ; Pg.no. 119 It is a unusual type of suicide ,in whichthe victim inflicts a single large wound on the abdomen with a short sword while in a sitting position or falls forward upon ceremonial sword & pulls out intestine .the sudden evisceration of internal organ causes sudden decrease of intra abdominal pressure & cardiac return ,producing sudden cardiac collapse .